A patient of A presented with bleeding from thigh and broken 5th rib on right side. What should be done first:
1. Control bleeding
2. Strapping of chest
3. Internal fixation of rib
4. Wait & watch

Correct answer: 1. Control bleeding

Explanation: Ans. A i.e. Control bleeding